Blood Samples for DNA fingerprinting should be transported in?
1. Normal saline
2. EDTA
3. NaF
4. Thymol

Correct answer: 2. EDTA

Explanation: EDTA REF: Ginya Bomjen, Anupuma Raina, Irshad M Sulaiman, Seyed E Hasnain & TD Dogra (1996) Effect of storage of blood samples on DNA yield, quality and fingerprinting: A forensic approach. Indian Journal of Experimental Biology;34:384-386, methodscollectionpreservationdna.htm DNA Fingerprinting technique, introduced by Prof. Alec Jeffrey's is widely used presently all over the globe especially for forensic purposes. All living things are composed of different cells and within the cells except red blood cells and few other minor types contain a chemical component called Nucleus. And within the nucleus of each cell is located a genetic material, referred as Deoxyribonucleic Acid (DNA). It is this genetic material which generates genetic pattern of an individual and has shown highly polymorphic among individuals. COMMON BIOLOGICAL SAMPLES ENCOUNTERED: Whole Fresh Blood Blood Stain Seminal Stain Hard Tissues (Bones) Soft Tissues (body organs) Hair METHODS OF COLLECTION: Whole blood Sample: Sterile needle should be used while withdrawing or collecting blood. Blood stain: Should be picked up preferably on sterile cotton gauge using sterile forceps and blade. Seminal stain: Should not be touched by hand especially the stain portion. Should be picked up with sterile forceps. Hard Tissues: Bones-bones should be picked up using gloves, Kept at a place where there are no chances of environmental contamination. It should be allowed to dry completely. Soft Tissues: Body organs should be collected using forces and wearing gloves. It should be kept in a sterile container. Hair: Hair roots are preferred for the analysis. Hair roots should be picked up using sterile forceps. PRESERVATION: Whole Blood: Blood should be collected in sterile container containing an anticoagulant. The mostly preferred is EDTA. It should be mixed properly but gently for some time. The container should be covered with parafilm to avoid slippage. Should be kept it at 4degC or using ice during transportation till it reaches laboratory for analysis. Blood stain: Blood stain should be dried properly. In semi dry stain there, is a possibility of bacterial growth thus chances of having contamination. Drying should be avoided using electric fans. After complete drying it should be wrapped in a fresh blotting paper and packed in a Zip lock poly bag. No preservative is required. It can be transported at environmental temperature. Seminal stain: Likewise seminal stain should also be dried properly. In semi dry stain there, is a possibility of bacterial growth thus chances of having contamination. It should not be dried using electric fans. After drying it should be wrapped in a fresh blotting paper and packed in a Zip lock poly bag. No preservative is required. It can be transported at environmental temperature. Hard Tissue: No preservative is required. The hard tissues should be wrapped in the blotting paper and placed in a zip lock poly bag. Soft tissue: It should be placed at 4degC or in Ice till it reaches laboratory for analysis. Hair: Hair roots should be placed in a blotting paper and then packed in a zip lock poly bag. It requires no preservative and can be transported at environmental temperature.